Most common cause of colonic obstruction is:
1. Volvulus
2. Hernia
3. Adhesions
4. Neoplasm

Correct answer: 4. Neoplasm

Explanation: Most common cause of colonic obstruction is Neoplasm. MC cause of small bowel obstruction is adhesions.